What is the cause of nephrocalcinosis in granulomatous disease?
1. Increased absorption
2. Increased conversion to 1,25 OH
3. Dystrophic calcification
4. Mutation in calcium sensing receptor

Correct answer: 2. Increased conversion to 1,25 OH

Explanation: . Increased conversion to 1,25 OH